A intravenous anesthetic agent that is associated with hemodynamic stability, maintenence of CPP with post operative nausea, vomiting and myoclonus
1. Ketamine
2. Etomidate
3. Propofol
4. Opioids.

Correct answer: 2. Etomidate

Explanation: B i.e. Etomidate